Nasolacrimal duct runs in the nasolacrimal canal. It is made up of all the following bones except
1. Maxillary bone
2. Inferior nasal conchae
3. Lacrimal bone
4. Ethmoid

Correct answer: 4. Ethmoid

Explanation: Answer- D. EthmoidNasolacrimal CanalThe canal containing the nasolacrimal duct is called the nasolacrirnal canal.It is formed by indentations in the inferior nasal conchae, maxilla and lacrimal bone.It drains to-into the nasal cavity through the anterior portion of the inferior meatus which is between the inferior concha and the floor ofthe nasal cavity.